Which of the following is false about starvation ketoacidosis?
1. Metabolic acidosis
2. Smell of acetone in breath
3. Benedict's test +ve
4. Rothera's test +ve

Correct answer: 3. Benedict's test +ve